Somatostatin is secreted by -
1. D-cell
2. A-cell
3. B-cell
4. Dl-cell

Correct answer: 1. D-cell